Natural habitat of Schistosoma (blood flukes) -
1. Veins of the urinary bladder
2. Portal & pelvic veins
3. Vesical plexuses
4. All of the above

Correct answer: 4. All of the above

Explanation: The adult worm of S.haematobium live primarily in the vesical and pelvic venous plexuses where as S.japonicum and S.mansoni inhabit superior mesentric vein and inferior mesentric vein respectively (refer pgno:119 baveja 3 rd edition)